Patients with Antiphospholipid antibodies may manifest with any of the following, except:
1. Venous thrombosis
2. Arterial Thrombosis
3. Hemolytic Anemia
4. Thrombocytosis

Correct answer: 4. Thrombocytosis

Explanation: Answer is D (Thrombocytosis): Refer Review Notes on Antiphospholipid Syndrome Antiphospholipid Antibody Syndrome is associated with thrombocytopenia and not thrombocytosis. The presence of thrombocytopenia does not appear to reduce thrombotic risk in patients with APS. Recurrent arterial or venous thrombosis in any tissue or organ is the most common presentation. Coomb's Positive Hemolytic Anemia may be seen in up-to 10 percent of patients with Antiphospholipid Syndrome.